All of the following are true about Heparin except
1. Argatroban is the drug of choice for Heparin induced thrombocytopenia
2. Unfractionized Heparin induce antibodies against PF - 4 and lead to platelet aggregation
3. Heparin can lead to arterial thrombosis more than venous thrombosis
4. Unfractionized Heparin is safer in renal failure

Correct answer: 3. Heparin can lead to arterial thrombosis more than venous thrombosis

Explanation: Heparin causes venous thrombosis more commonly than arterial thrombosis.